What is the inheritance pattern of von willebrand disease?
1. AR
2. AD
3. XR
4. XD

Correct answer: 2. AD

Explanation: Von willebrand disease is inherited as autosomal dominant disorder
Refer the byte " mendelian Disorder and their Inheritance  pattern"